Exanthema subitum is caused by ?
1. HHV-6
2. HHV-8
3. Parvovirus
4. Coxsackievirus

Correct answer: 1. HHV-6

Explanation: Ans. is 'a' i.e., HHV-6 HHV-6 causes roseola infantum (also called exanthema subitum or sixth disease).